Proton pump inhibitors for peptic ulcer disease should be taken:
1. After Breakfast
2. Before Dinner
3. Before Breakfast
4. After Dinner

Correct answer: 3. Before Breakfast

Explanation: For ideal action of proton pump inhibitor, an acidic pH in the parietal cell canaliculi is prerequisite because the drug is activated in this acidic pH.
Hence it should be taken at least 30 minutes before meals.
It is preferably administered before breakfast so that peak serum concentration coincides with maximum activity of proton pump secretion.